The number of girls a woman would bear if she passes through her reproductive age with the same fertility rate gives:
1. Total fertility rate
2. Fertility rate
3. Gross reproductive rate
4. Net reproductive rate

Correct answer: 3. Gross reproductive rate

Explanation: Ans. C: Gross reproductive rate The net reproduction rate (NRR) measures the effective fertility in a population, taking account not only of births but also of the fact that not all women born will survive to their own reproductive years. The NRR is the average number of daughters of reproductive age that a woman would have if she experienced over her lifetime the prevailing age-specific rates of fertility and if her daughters experienced the prevailing rates of mortality. The gross reproduction rate (GRR) for a particular year is the average number of daughters that a woman would have if she experienced over her lifetime the age-specific fertility rates of that year. In that it refers only to the number of daughters born to women, not the total number of children, it is a special case of the (period) total fertility rate; in most circumstances (unless the sex ratio at birth is highly unequal) the GRR equals roughly half the TFR. The general fertility rate is similar to the crude birth rate except that it uses a more restricted denominator, the female population of childbearing age, ages 15 to 49. Age-specific fertility rates (also called age-specific birth rates) are similar to the crude birth rate but are calculated for specific age groups of women of childbearing age. The range of childbearing ages is conventionally considered to be ages 15 to 49 (sometimes 15 to 44 is used), and a full set of age-specific fertility rates would span this interval-usually either in single-year age groups or, more commonly, in five-year groups: 15 to 19, 20 to 24, ..., 45 to 49. Marital fertility rates can be calculated either for the full range of reproductive ages (15 to 49 or 15 to 44) or as age-specific rates. The numerator is usually taken as the total number of live-births to women in the specified age range, regardless of the marital status of the mother; the denominator is the number of currently married women in the specified age range The total fertility rate (TFR) at a given time (technically referred to as the period total fertility rate) is the average number of children a woman would bear in her life if she experienced the age-specific fertility rates prevailing at that time.